Perioral pallor and Dennie's line are seen in:
1. Atopic dermatitis
2. Chronic actinic dermatitis
3. Blood dyscrasia
4. Perioral contact dermatitis

Correct answer: 1. Atopic dermatitis

Explanation: Atopic dermatitis